Not seen in tumor lysis syndrome:
1. Hyperphosphatemia
2. Hyperuricemia
3. Hypocalcemia
4. Hypercalcemia

Correct answer: 4. Hypercalcemia

Explanation: Ans. D: Hypercalcemia Tumor ly5is syndrome is typically associated with acute leukemia and high-grade non-hodgkin lymphoma such as Burkitt lymphoma. A potentially lethal complication of anticancer treatment, tumor lysis syndrome occurs when large numbers of neoplastic cells are killed rapidly, leading to release of intracellular ions and metabolic byproducts into the systemic circulation. Clinically, the syndrome is characterized by rapid development of : Hyperuricemia Hyperkalemia Hyperphosphatemia Hypocalcemia Acute renal failure (ARF)